Most common congenital anomaly of larynx-
1. Laryngeal web
2. Laryngomalacia
3. Laryngeal stenosis
4. Vocal cord palsy

Correct answer: 2. Laryngomalacia